IgA nephropathy is characterised by:-
1. Hematuria occur after skin infection
2. Severe Hypertension
3. Normal serum levels of C3
4. Serum IgA levels have a diagnostic value

Correct answer: 3. Normal serum levels of C3

Explanation: IgA nephroapthy is also known as Berger nephropathy Gross Hematuria in IgA nephropathy occurs within 1-2 days of onset of an upper respiratory or GI infection (skin infection leads to poststreptococcal glomerulonephritis (PSGN)and not IgA nephropathy). Mild to moderate hypertension can be seen May be associated with loin pain Normal serum levels of C3 in IgA nephropathy help to distinguish this disorder from poststreptococcal glomerulonephritis (PSGN) where serum C3 levels are low. Serum IgA levels have no diagnostic value in IgA nephropathy because they are elevated in only 15% of pediatric patients. Note: Most Common GN overall - IgA nephropathy/Berger disease (M.C Clinical Feature -Recurrent gross hematuria)